Raju, a 30-year-old male presents to the OPD with sudden onset pain, swelling and redness of the left first metatarsophalangeal joint. A needle aspirate of the joint shows needle-shaped, negatively birefringent crystals. The physician prescribed a drug for the patient, but he came back next day with nausea, vomiting and diarrhea after taking the medication. Which of the following is the most likely drug that was prescribed to this patient?
1. Allopurinol
2. Colchicine
3. Steroids
4. Indomethacin

Correct answer: 2. Colchicine

Explanation: This patient's acute onset pain and swelling of the right first metatarsophalangeal joint and joint aspirate showing needle-shaped negatively birefringent crystals indicate that he most likely has acute gouty arthritis. Colchicine is an effective anti-inflammatory agent in acute gouty arthritis but commonly result in nausea, vomiting, diarrhea and myopathy as adverse effects.